Bromocriptine -
1. Inhibits prolactin release
2. Inhibits adrenalin synthesis
3. Inhibits insulin synthesis
4. Inhibits thyroid synthesis

Correct answer: 1. Inhibits prolactin release

Explanation: Ans. is 'a' i.e., Inhibits prolactin release